Negri bodies are seen in-
1. Oligodendroglia
2. Neuron 2012-13
3. Microglia
4. Astrocytes

Correct answer: 2. Neuron 2012-13

Explanation: The rabies virus is a bullet-shaped virion with a single-stranded ribonucleic acid (RNA) nucleocapsid core and lipoprotein envelope. Its nucleocapsid material consists of Negri bodies, which are observed in the cytoplasm of infected neurons (see the image below). The virus is transmitted in saliva or in aerosolized secretions from infected animals, typically a bite. The virus is not hardy and is quickly inactivated by drying, ultraviolet rays, x-rays, trypsin, detergents, and ether. (See Etiology.) Hematoxylin and eosin stain of Negri body in a rabies-infected neuron. Ref: medscape